Which of the following drug has a favourable effect on lipid metabolism ?
1. Atenolol
2. Chlorothiazide
3. Clonidine
4. Torsemide

Correct answer: 3. Clonidine